The best skin graft for open wound is
1. Isograft
2. Homograft
3. Allograft
4. Autograft

Correct answer: 4. Autograft

Explanation: Autograft or autologous graft means skin grafts from one site of body to another. They are the best skin grafts.